Attitude of lower limb seen in posterior dislocation of hip is?
1. Flexion, Abduction, Internal rotation
2. Flexion, Adduction, Internal rotation
3. Flexion, Abduction, External rotation
4. Flexion, Adduction, External rotation

Correct answer: 2. Flexion, Adduction, Internal rotation

Explanation: ANSWER: (B) Flexion, Adduction, Internal rotationREF: Apley's 8th ed p. 681Flexion , adduction , internal rotationPosterior dislocation of hipFlexion , adduction , lateral rotation with shorteningIntracapsular fracture of hipFlexion , abduction and lateral rotationAnterior dislocation of hip